All of the following statements about an alpha?glucosidase inhibitor are true except -
1. Reduces intestinal absorption of carbohydrates
2. Effective in both type 1 & 2 diabetes
3. Hypoglycemia is a common & serious side effect
4. Can be used with other oral Hypoglycemic Agents

Correct answer: 3. Hypoglycemia is a common & serious side effect

Explanation: Ans. is 'c' i.e., Hypoglycemia is a serious and common side effect Alpha glucosidase inhibitors: acarbose: Miglital These are a class of oral glucose lowering agents that reduce postprandial hyperglycemia by delaying glucose absorption. o They are FDA approved for use in individuals with type -2 diabetes as monotherapy and in combination with sulfonylureas Katzung 101)Ve - 700 o These agents are unique as they reduce post prandial glucose rise even in individuals with type -I diabetes mellitus. Adverse effects: Major adverse effects include flatulence, diarrhea and abdominal distension/pain: This results from appearance of undigested carbohydrates in the colon that is then fermented into short chain fatty acids releasing gas. Hypoglycemia: Not a problem with monotherapy May occur with concurrent use sulfonylureas.